The definitive host in Toxoplasmosis is
1. Cat
2. Man
3. Pig
4. Dog

Correct answer: 1. Cat

Explanation: (A) Cat> Toxoplasmosis, a protozoal infection caused by Toxoplasma gondii, can result from ingestion of raw or undercooked meat infected by the organism or from contact with infected cat feces.> The incidence of toxoplasmosis in pregnant women is estimated to be 1 in every 150 to 700 pregnancies. Infection early in pregnancy may cause abortion; later in pregnancy, the fetus may become infected. A small number of infected infants develop involvement of the central nervous system or the eye; most infants who have the disease, however, escape serious clinical problems.> Toxoplasma gondii, -- result from ingestion of raw or undercooked meat infected by the organism or from contact with infect cat feces